All are congenital myopathies except
1. Central core myopathy
2. Nemaline myopathy
3. Z band myopathy
4. Centronuclear myopathy

Correct answer: 3. Z band myopathy

Explanation: 3 forms of congenital myopathies that may present in adulthood are central core disease, nema line myopathy and centronuclear myopathy. Ref Harrison20th edition pg 2345